Muscle relaxant of choice in liver disease is
1. Atracurium
2. Pipecuronium
3. Rocuronium
4. Vecuronium

Correct answer: 1. Atracurium

Explanation: Refer Katzung 11/e p456 Atracurium and cis-Atracurium are degraded spontaneously by Hoffman's elimination These don't require liver or kidney for elimination and thus are muscle relaxant of choice in a patient with renal and hepatic dysfunction